Succinyl Co-A is formed by:
1. Histidine
2. Leucine
3. Valine
4. Lysine

Correct answer: 3. Valine

Explanation: Succinyl COA is formed by Valine, Isoleucine, Methionine.